Kleine-Levin syndrome is associated with:
1. Insomnia
2. Anxiety
3. Depression
4. Hypersomnia

Correct answer: 4. Hypersomnia

Explanation: Ans. Hypersomnia